With glucose which of the following is transported:
1. Hydrogen ions
2. Potassium ions
3. Calcium ions
4. Sodium ions

Correct answer: 4. Sodium ions

Explanation: Ans. D: Sodium ions